Techniques for preparing narrow and curved canals:
1. Step down technique
2. Modified double flare technique
3. Balanced force technique
4. All of the above

Correct answer: 4. All of the above

Explanation: Techniques for preparing narrow and curved canals are:

Step down
Modified double flare
Balanced force technique